All the following are true of de quervan's thyroidites except
1. Pain
2. Increased esr
3. Increased radioactive iodine uptake
4. Fever

Correct answer: 3. Increased radioactive iodine uptake

Explanation: (C) (Increased radioactive iodine uptake) (770-777-Bailey & Love 26th)DeOuervain's thyroiditis is synonymous with Granulomatous thyroiditis or subacute Thyroiditis or Giant cell ThvroiditisQOrigin/Etiology* It is viral in origin0 Symptoms usually follow an upper respiratory tract originClinical presentation (Harrison's)* Pain over thyroid or pain referred to lower jaw, ear, occiput* Fever, malaise, asthenia* Firm, irregular enlargement of one or both Thyroid lobesCharacteristic* High Erythrocyte sedimentation rate (ESR)Laboratory* Depressed RAIU ie, decreased rado iodine uptake testFinding (Harrison's)* Early; patients may be mildly thyrotoxic due to leakage of hormone from gland ; | T3 & T4 & |TSH * Later ; patients may be hypothyroid due to depletion of hormone from gland ; | T3 &T4 & |TSHHistology* Multinucleated Giant cells are seen - Robbins Thyroid carcinoma following accidental irradiation in childhoodPapillary carcinomaThyroid carcinoma in long-standing goiter^Follicular carcinomaThyroid carcinoma as part of MEN syndromeMedullary carcinomaPapillary carcinoma of thyroid is a slow growing tumor, usually not associated with blood borne metastasis and hence has a better prognosis than the other varieties.